Which of the following is true about acute dilatation of stomach
1. Dilatation of stomach seen on x-ray
2. Presents with vomiting
3. Aspiration
4. All

Correct answer: 4. All

Explanation: Ans. is 'a' i.e. Dilatation of stomach seen on x-ray, 'b' i.e. Presents with vomiting, 'c' i.e. Aspiration